Immunoglobulin in peyer's patch is?
1. IgM
2. IgG
3. IgA
4. IgD

Correct answer: 3. IgA

Explanation: ANSWER: (C) IgAREF: Ananthnarayan 8th e p. 99The direct secretion of secretory IgA onto mucosal epithelia represents the major effector mechanism of mucosa-associated lymphoid tissue (MALT).IgA is the main immunoglobulin in secretions such as milk, saliva, and tears and in secretions of the respiratory, intestinal, and genital tracts. It protects mucous membranes from attack by bacteria and viruses.